In which one of the following conditions is sling operation done :
1. Multiple prolapse
2. Nulliparous prolapse
3. Cystocoele
4. Rectocoele

Correct answer: 2. Nulliparous prolapse

Explanation: Nulliparous prolapse